Which among the following is relatively not a method of Identification in living individuals
1. Spectrogram
2. Calligraphy
3. Gait analysis
4. Superimposition

Correct answer: 4. Superimposition

Explanation: #NAME?